The investigation of choice in pancreatic trauma is?
1. CECT
2. MRI
3. USG
4. Radionuclide scan

Correct answer: 1. CECT

Explanation: Ans. A. CECT* CT is the simplest and least invasive diagnostic modality currently available for evaluating suspected pancreatic trauma and its complications, because of the subtlety of the US findings. However, this study is only rarely useful in acute penetrating injury.* Computed tomography is the radiographic examination of choice for hemodynamically stable patients with abdominal trauma as it provides the safest and most comprehensive means of diagnosis of traumatic pancreatic injury.* The pancreas may appear normal in 20%-40% of patients when CT is performed within 12 h after trauma because pancreatic injuries may produce little change in the density which may not be detectable on CT scan.* In addition, there may be minimal separation of lacerated pancreatic fragments. Currently, multidetector-row CT scanners are used for evaluation of abdominal trauma cases as they are faster to scan, which greatly reduces bowel artifacts and resolves many previous technical problems.* Lacerations tend to occur at the junction of the body and tail due to shearing injuries with compression against the spine